Beta2 adrenergic receptor stimulating drugs are used in:
1. Bronchial asthma
2. Cardiac asthma
3. Hypertension
4. Angina Pectrois

Correct answer: 1. Bronchial asthma